Rubella cataract is seen as -
1. Posterior polar cataract
2. Nuclear cataract
3. Blue dot cataract in young
4. Cuneiform cataract

Correct answer: 2. Nuclear cataract

Explanation: A progressive type of congenital cataract, originally nuclear, is assosiated with occurrence of rubella in the mother if the infection is contracted in the 2nd and sometimes in 3rd month if pregnancy.